Chlamydia trachomtis causes all EXCEPT
1. Ophthalmia neonatorum
2. Lymphogranuloma venereum
3. Q-fever
4. Trachoma

Correct answer: 3. Q-fever

Explanation: (Q-fever) (424- A7th)Chlamydia trachomatis causes- Endemic blinding trachoma- Inclusion conjunctivitis (ophth. neonatorum and adult)- Genital chlamydiasis- Infant pneumonia- Lympho granuloma - venereumQ-fever is caused by Rickettsiaceae- burnetti